Which of the following immunosuppressive agent requires monitoring of renal function on regular basis ?
1. Azathioprine
2. Mycophenolate mofetil
3. Methotrexate
4. Cyclosporine A

Correct answer: 4. Cyclosporine A